Drug which may lead to hemolysis in a child with G6PD deficiency is
1. Penicillin
2. Primaquine
3. Ceftriaxone
4. Erythromycis

Correct answer: 2. Primaquine

Explanation: Primaquine in G6PD deficient patients cause oxidative stress. Reference: GHAI Essential pediatrics, 8th edition